Scar in lung tissue may get transformed into
1. Columnar cell carcinoma
2. Oat cell carcinoma
3. Squamous cell carcinoma
4. Adenocarcinoma

Correct answer: 4. Adenocarcinoma

Explanation: “Peripheral adenocarcinomas with a small central invasive component associated with scarring and a predominantly peripheral bronchioloalveolar growth pattern may have a better outcome than invasive carcinomas of the same size.”.. Robbins